Elemental iron and folic acid content of paediatric iron folic acid tablet supplied under INCH programme are –
1. 20 mg iron & 100 micro gram folic acid
2. 40 mg iron & 100 micro gram folic acid
3. 40 mg iron & 50 micro gram folic acid
4. 60 mg iron & 100 micro gram folic acid

Correct answer: 1. 20 mg iron & 100 micro gram folic acid

Explanation: National nutritional anemia prophylaxis programme is based on daily administration of Iron & folic acid tablets to maintain rural child health.
For anemia prophylaxis FOLIEFER tablets with 20 mg elemental iron and 100 microgram folic acid are given to children for 3 months.
For treatment upto 6 mg/kg elemental iron should be given for 3 months.